African burkitt's lymphoma is caused by:
1. Cytomegala virus
2. EB virus
3. Herpes zoster
4. Infectious mononucleosis

Correct answer: 2. EB virus

Explanation: (E.B. virus): Ref: 522-CP (482-AN 7th)Burkitt's lymphoma - It is malignant neoplasm of B lymphocytes (Tumor of jaw) which occurs primarily in children and young adults in Africa and New Guinea E B virus infection is almost always associated with epidemic form but only with 20% sporadic cases.EB virus is the aetiological agents of:1. Infectious mononucleosis (Glandular fever)2. Chronic disease - chronic tiredness (chronic fatigue syndrome)3. BurkiH's lymphoma - malignant neoplasm of B-lymphocytes4. Undifferentiated nasapharyngeal carcinoma5. EBV - induced lymphoproliferative disease (leukemia and lymphoma)6. Hairy - oral leukoplakia